A 40-year-old woman complains of fatigue and nausea of 3 months in duration. Physical examination reveals numerous pustules on the face, as well as splenomegaly and hepatomegaly. Laboratory studies show hemoglobin of 6.3 g/dL and platelets of 50,000/mL. A peripheral smear shows malignant cells with Auer rods (arrow). The patient develops diffuse purpura, bleeding from the gums, and laboratory features of disseminated intravascular coagulation (DIC). Which of the following is the appropriate diagnosis?
1. Acute lymphoblastic leukemia
2. Acute megakaryocytic leukemia
3. Acute promyelocytic leukemia
4. Chronic myelogenous leukemia

Correct answer: 3. Acute promyelocytic leukemia

Explanation: In APL, the bone marrow is packed with tumor cells that have promyelocytic features, with abundant Auer rods. The presence of Auer rods excludes acute lymphoblastic leukemia (choice A), acute megakaryocytic leukemia (choice B), and chronic myelogenous leukemia (choice D). DIC is not characteristic of the other choices.Diagnosis: Acute promyelocytic leukemia